Bennett angle is the angle formed between the path of:
1. The non-working condyle and the sagittal plane.
2. The working condyle and the sagittal plane.
3. The non-working condyle and the Frankfort's horizontal plane.
4. The working condyle and the Frankfort's horizontal plane.

Correct answer: 1. The non-working condyle and the sagittal plane.